Arch shaped bone loss around maxillary molars occurs in:
1. Gingivitis
2. ANUG
3. Chronic periodontitis
4. Juvenile periodontitis

Correct answer: 4. Juvenile periodontitis